Sine wave in ECG is seen in?
1. Hyperkalemia
2. Hypokalemia
3. Hypercalcemia
4. Hypocalcemia

Correct answer: 1. Hyperkalemia

Explanation: a. Hyperkalemia(Ref: Nelson's 20/e p 357-360)Hyperkalemia produces a sequence of changes in ECG:1st ECG finding: Narrowing and peaking (tenting) of the T wavesQFurther elevation of K+ leads to AV conduction disturbances, | P-wave amplitude & widening of QRS intervalSevere hyperkalemia eventually causes with a slow sinusoidal "sine-wave" pattern followed by asystole.